Which of the following drugs does not possess even slightest agonist action ?
1. Buprenorphine
2. Butorphanol
3. Nalbuphine
4. Nalmefene

Correct answer: 4. Nalmefene